QRS complex is due to?
1. Ventricular repolarization
2. Ventricular depolarization
3. Atrial repolarization
4. Atrial depolarization

Correct answer: 2. Ventricular depolarization

Explanation: QRS complex is due to right and left ventricular depolarization. Depolarisation of ventricle of heart occurs simultaneously bundle of His and Purkinje fibres.(Ref: General pathology in Textbook of pathology HARSH MOHAN 6th Editon)